The mesial marginal is a developmental groove present on
1. Maxillary 1st Premolar
2. Maxillary 2nd Premolar
3. Mandibular 1st Premolar
4. Mandibular 2nd Premolar

Correct answer: 1. Maxillary 1st Premolar